'Whip-lash' Injury is caused due to-
1. A fall from a height
2. Acute hyperextension of the spine
3. A blow on top to head
4. Acute hyperflexion of the spine

Correct answer: 2. Acute hyperextension of the spine

Explanation: * Whiplash Injury is caused by sudden unexpected hyperextension of cervical spine followed immediately by flexion. Ref: Apley's 9th/e p.820